Osteoporosis is characterized by-
1. Increased serum alkaline phosphatase
2. Decreased bone density
3. Wasting of muscles
4. Looser's zone seen

Correct answer: 2. Decreased bone density

Explanation: *Osteoporosis is characterized by an abnormally low bone mass and defects in bone structure, a combination of which renders the bone unusually fragile and at greater than normal risk of fracture. * Osteoporosis means "porous bones," causes bones to become weak and brittle -- so brittle - that even mild stresses like bending over, lifting a vacuum cleaner or coughing can cause a fracture. * In most cases, bones weaken when low levels of calcium, phosphorus and other minerals in the bones and results as low bone density. * A common result of osteoporosis is fractures of the spine, hip or wrist. * Although it's often thought of as a women's disease, osteoporosis also affects many men. SYMPTOMS * Back pain, which can be severe if fractured or collapsed vertebra_ # Loss of height over time, with an accompanying stooped posture # Fracture of the vertebrae, wrists, hips or other bones Ref: Maheshwari 9thth/e p.308